Primary angle = secondary angle of deviation in which squint
1. Concomitant
2. Paralytic
3. Latent
4. None

Correct answer: 1. Concomitant

Explanation: Ans. a (Concomitant). (Ref. Parson, Diseases of Eye, 18th/341, Basak, Ophthalmology, 2nd /298)SQUINTS. No.Concomitant (Aparalytic)Paralytic (Nonconcomitant)1.Sudden onsetInsidious onset2.Developmental originAcquired3.Infants and childrenAdults affected4.DiplopiaNo diplopia5.Normal head postureAbnormal head posture6.No false projectionFalse projection +7.Angle of squint constant in all direction of gazeVariable angle of squint8.Normal ocular movementOccular movements restricted9.Secondary angle of deviation = primary angleSecondary angle > primary10.AmblyopiaNo amblyopia11.Good surgical resultsNot satisfactory/contraindicated